Rubella cataract is seen as –
1. Posterior polar cataract
2. Nuclear cataract
3. Blue dot cataract in young
4. Cuneiform cataract

Correct answer: 2. Nuclear cataract

Explanation: Congenital rubella infection can cause congenital nuclear cataract and congenital total cataract.
Sometimes it may also cause lamellar (zonular) cataract.